Most common cause of chronic kidney disease
1. Diabetes mellitus
2. Hypertension
3. PCKD
4. Hepatorenal Syndrome

Correct answer: 1. Diabetes mellitus

Explanation: Most common cause - Diabetes mellitus